Increased ICT is characterised by AIE-a)  Headache and vomiting b) Intellectual changec) Tremorsd) Papilloedemae) Tachycardia
1. a
2. b
3. ac
4. ce

Correct answer: 4. ce